Excess intake of retinol causes:
1. Nausea
2. Hepatomegaly
3. Anorexia
4. All of the above

Correct answer: 4. All of the above

Explanation: An excess intake of retinol causes nausea, vomiting, anorexia and sleep disorders followed by skin desquamation and then an enlarged liver and papillar edema. Ref: Park 22nd edition, page 571